True about Azathioprine is?
1. It has more anti tumor effect than immunosuppressant effect
2. It is not a prodrug
3. It selectively affects differentiation of T cells
4. It is a pyramidine antimetabolite

Correct answer: 3. It selectively affects differentiation of T cells

Explanation: ANSWER: (C) It selectively affects differentiation of T cellsREF: KDT 6th ed p. 840AZATHIOPRINEPurine antimetaboliteMore marked immunosuppressant effect than antitumour effectIt's a prodrug and converted to more active 6-mercaptopurineSelectively inhibits T cell differentiation and function of T cellsMost important application - graft rejections/e - bone marrow suppression